All the following statements regarding skin are true except
1. Skin is stratified squamous epithelium
2. Melanocytes are immigrant cells
3. Keratin filaments are hallmark of epidermal cells
4. Keratinization causes hydration of cells

Correct answer: 4. Keratinization causes hydration of cells

Explanation: Keratinization provides protection, has no role in hydration of cells. The skin has three layers-- the epidermis, dermis and subcutaneous layer (fat layer). Keratinization is a process of cytodifferentiation in which the keratinocytes are differentiated, hardened cell filled with keratin which serves as a scaffold for the cytoskeleton and play a major functional role in the integrity and mechanical stability of cells. Filaggrin helps in keratin assembly and then degrades to for amino acids and natural moisturizing factors which help in skin hydration.